Nagglers reaction is used in the diagnosis of
1. Malaria
2. Whooping cough
3. Gas gangrene
4. Wool sorters disease

Correct answer: 3. Gas gangrene